Not classified as untidy wound is
1. Burn wound
2. Incised wound
3. Crush wound
4. Lacerated wound

Correct answer: 2. Incised wound

Explanation: Answer- B. Incised woundUsually involves crushing and tearing and contain devitalized tissues.Needs conversion to tidy wound before closure is considered.These wounds result from crushing, avulsion or burns. Fractures are common and may be multifragmentary.Treatment - Once the untidy wound is convereted to a didy one by wound excision, it can be saiely closed or allowed to heal by second intention.